Which can be given safely in renal failure ?
1. Tetracycline
2. Gentamicin
3. Amphotericin B
4. Doxycycline

Correct answer: 4. Doxycycline